The intense craving experienced by the people recovering from chronic alcoholism can be treated by a drug which acts by being an:
1. Agonist of serotonin receptors
2. Agonist of alpha adrenoceptors
3. Agonist of beta adrenoceptors
4. Antagonist of opioid receptors

Correct answer: 4. Antagonist of opioid receptors

Explanation: (Ref: KDT 6/e p467) Naltrexone is used to decrease the craving for alcohol after de-addiction.